Treatment of choice for scorpion bite:
1. Anti-venin
2. Insulin
3. Steroids
4. Atropine

Correct answer: 1. Anti-venin

Explanation: (Ref: KDT, 6th ed. pg. 2748)General time guidelines for the disappearance of symptoms after anti-venom administration are as follows:# Centruroides anti-venom: Severe neurologic symptoms reverse in 15-30 min. Mild-to-moderate neurologic symptoms reverse in 45-90 min.# Non-Centruroides anti venom: In the first hour, local pain abates. In 6-12 hours, agitation, sweating, and hyperglycemia abate. In 6-24 hours, cardiorespiratory symptoms abate.Insulin administration in scorpion envenomation animal experiments has helped the vital organs to use metabolic substrates more efficiently, thus preventing venom- induced multiorgan failure, especially cardiopulmonary failure. Unfortunately, no human studies have been conducted.The use of steroids to decrease shock and edema is of unproven benefit.Atropine for symptomatic bradycardia.RememberScorpion venom is composed of neurotoxin cardiotoxin, nephrotoxin, hemolytic toxin, phosphodiesterases, phospholipases, hyaluronidases, glycosaminoglycans, histamine, serotonin, tryptophan, and cytokine releasers.Hence the clinical effects of envenomation are neuromuscular, neuro-autonomic, or local tissue effects.The main targets of scorpion venom are voltage- dependent ion channels, of which sodium channels are mainly affected.Alpha blocker like Prazosin can also be used for this purpose.